Regarding uterine atony after delivery, treatment includes
1. Fundal massage should be performed
2. 20 units oxytocin bolus given i.v
3. Oxytocin diluted in crystalloid solution at concentration of 200 IU / min should be given i.v
4. All the above

Correct answer: 1. Fundal massage should be performed

Explanation: Vigorous fundal massage can prevent post partum hemorrhage, if uterine atony is felt per abdomen.
20 units of oxytocin in 1000mL of crystalloid solution will be effective given i.v at 10mL / min for a dose of 200 mU / min.